In renal transplant recipients, which is the likely organism causing reactivation disease within 1-4 months after surgery?
1. EBV
2. CMV
3. HSV
4. VZV

Correct answer: 2. CMV

Explanation: CMVis theMC viral agent causing opportunistic disease(esp. between 1-4 months after surgery) in transplant recipients.